Bone marrow finding in AL amyloidosis is:
1. Monoclonal Gammopathy
2. Granulomatous reaction
3. Fibrosis
4. Giant cell formation

Correct answer: 1. Monoclonal Gammopathy

Explanation: Majority of persons with AL amyloidosis do not have classic multiple myeloma or any other overt B-cell neoplasm Such cases have been traditionally classified as primary amyloidosis, Their clinical features derive from the effects of amyloid deposition without any other associated disease. In virtually all such cases, however, monoclonal immunoglobulins or free light chains, or both, can be found in the serum or urine. Most of these patients also have a modest increase in the number of plasma cells in the bone marrow, which presumably secrete the precursors of AL protein. These patients have an underlying monoclonal proliferation of plasma cells (monoclonal gammopathy) in which production of an abnormal protein, rather than production of tumor masses, is the predominant manifestation.